IOC for determing the etiology of sub arachnoid hemorrhage
1. Non - contrast CT
2. CECT
3. Four vessel DSA
4. MRI

Correct answer: 3. Four vessel DSA

Explanation: Four vessels (Both carotid and both vertebral) digital subtraction angiography is the IOC for determing the etiology of SAH.